In muscle hypertrophy alpha myosin changes to ?
1. Beta
2. Gamma
3. Theta
4. Delta

Correct answer: 1. Beta

Explanation: Answer- A. Beta During muscle hypertrophy the alpha isoform of myosin heavy chain is replaced by the beta isofom, which has a slower, more energetically economical contraction.